Which histopathological type of odontogenic keratocyst is commoner, more invasive & has a greater tendency for recurrence?
1. Orthokeratinised
2. Parakeratinised
3. Non-keratinised
4. Diskeratinised

Correct answer: 2. Parakeratinised